Glucogenic amino acid is transported to the liver most commonly by
1. Alanine
2. Glycine
3. Lysine
4. Leucine

Correct answer: 1. Alanine

Explanation: Ans. A. Alanine